Ivy technique is a test done to measure the:
1. Clotting time
2. Bleeding time
3. Both
4. None

Correct answer: 2. Bleeding time

Explanation: IVY method
The IVY method is the traditional format for this test. While both the IVY and the Duke method require the use of a sphygmomanometer, or blood pressure cuff, the IVY method is more invasive than the Duke method, utilizing an incision on the ventral side of the forearm, whereas the Duke method involves puncture with a lancet or special needle. In the IVY method, the blood pressure cuff is placed on the upper arm and inflated to 40 mmHg. A lancet or scalpel blade is used to make a shallow incision that is 1 millimeter deep on the underside of the forearm.
A standard-sized incision is made around 10 mm long and 1 mm deep. The time from when the incision is made until all bleeding has stopped is measured and is called the bleeding time. Every 30 seconds, filter paper or a paper towel is used to draw off the blood.The test is finished when bleeding has stopped.
 

A prolonged bleeding time may be a result from decreased number of thrombocytes or impaired blood vessels. However, the depth of the puncture or incision may be the source of error.
Normal values fall between 3 – 10 minutes depending on the method used.
A disadvantage of Ivy's method is closure of puncture wound before stoppage of bleeding.